Laparoscopic cholecystectomy done in a patient with cholelithiasis. Pathology report shows adenocarcinoma with invasion of muscular layer. CT was normal. Further t/t is:
1. Wait and regular follow up
2. Wedge hepatic resection with lymph node dissection
3. Excise all port sites
4. Radiotherapy

Correct answer: 2. Wedge hepatic resection with lymph node dissection

Explanation: Wedge hepatic resection with lymph node dissection The appropriate management for gallbladder cancer depends on the stage of cancer. Let's first see the TNM staging for gallbladder cancer. TNM staging of Gallbladder cancer Definition of TNM Primary tumor (T) TO No evidence of primary tumor Tis Carcinoma in situ T1 TI a Tlb Tumor invades lamina propria or muscle layer Tumor invades lamina propria Tumor invades muscle layer T2 Tumor invades perimuscular connective tissue; no extension beyond serosa or into liver T3 Tumor perforates the serosa (visceral peritoneum) and/or directly invades the liver and/or one other adjacent organ or structure, such as the stomach, duodenum, colon, or pancreas, omentum or extrahepatic bile ducts T4 Tumor invades main portal vein or hepatic artery, or invades multiple extrahepatic organs or structures Regional lymph nodes (N) NX Regional lymph nodes cannot be assessed NO No regional lymph node metastasis NI Regional lymph node metastasis Distant metastasis (M) MX Distant metastasis cannot be assessed MO No distant metastasis M1 Distant metastasis Stage grouping Stage 0 Tis NO MO Stage IA T1 NO MO Stage IB T2 NO MO Stage IIA T3 NO MO Stage IIB T1 T2 T3 NI NI N1 MO MO MO Stage III T4 Any N MO Stage IV Any T Any N M1 For stage Ia: Tla staged tumors (tumors confined to lamina propria)? - These tumors are recognized incidentally at the time of pathologic review. No further t/t is needed. Simple cholecystectomy is sufficient for them. - In laparoscopic cholecystectomy, recurrent cancer has been seen at the port site. Hence all port sites should be excised. - Patients with preoperatively suspected gallbladder cancer should under go open cholecystectomy to minimize the chances of tumor dissemination. Tlb staged tumors (tumors invading muscular layer)? - Invasion of the muscular layer allows access to lymphatics and vessels. For Tlb staged tumors, an extended cholecystectomy is indicated, as these tumors have been reported to recur after simple cholecystectomy. For stage Ib, II, selected stage III tumors: - These are managed by extended cholecystectomy. Stage IV tumors: - Should be treated with appropriate palliation as indicated. No randomized data have demonstrated improved survival with either chemotherapy or radiation and its use depends on case to case basis.